The most common hormone other than gastrin, contained in the gastrin-secreting islet cell tumor is -
1. ACTH
2. Glucagon
3. Melanocyte stimulating hormone
4. Growth hormone releasing factor

Correct answer: 1. ACTH